Which one of the following tumours involving the female genital tract has the WORST prognosis?
1. Dysgerminoma in a 35-year-old
2. Uterine choriocarcinoma in a 25-year-old with a recent history of molar pregnancy
3. Granulosa cell tumour in a 40-year-old
4. Serous cystadenocarcinoma of the ovary in a 45-year-old

Correct answer: 4. Serous cystadenocarcinoma of the ovary in a 45-year-old

Explanation: Serous cystadenocarcinoma of the ovary in' a 45-year-old, Around 75% of serous cystadenocarcinoma of the ovary are in an advanced stage at the time of diagnosis. These tumours have a worse prognosis than any of the other tumours listed.